'Vagitus uterins' is -
1. An infection of vegina
2. An infection of uterus
3. A cry of unborn baby from uterus
4. Infection of both vegina and uterus

Correct answer: 3. A cry of unborn baby from uterus

Explanation: Ref:Forensic medicine and toxicology (V.V.Pillay) 17th edition, page no.379 Sometimes a child may cry even while it is still in the uterus or vagina (after the membranes rutured). This called Vagitus uterinus and vagitus vagainalis, respectively, And yet when child is actually born, i.e.,has come to exterior, it may be found to be without sign of life.Hence, in criminal cases, the cry of the child alone is not proof enough of live birth. such proof to the court can only be furnished after postmortem examination.